Magnan's phenomenon occurs in addiction with which of the following?
1. Alcohol
2. Cocaine
3. LSD
4. Opiates

Correct answer: 2. Cocaine

Explanation: Magnan's sign is a feature of cocaine intoxication in which the intoxicated persons has the feeling of insects crawling under the skin. CNS manifestations of cocaine intoxication are: Ataxia Excitement Euphoria Garrulousness Headache Tremors Seizures Fever Hyperthermia Mydriasis Stroke Central retinal artery occlusion Visual impairment Blurry vision Transient focal neurological deficits Toxic encephalopathy Coma Ref: Comprehensive Reviews in Toxicology: For Emergency Clinicians By Peter D Bryson page 500.